Narcolepsy is due to an abnormality in -
1. Hypothalamus
2. Neocortex
3. Cerebellum
4. Medulla oblongata

Correct answer: 1. Hypothalamus

Explanation: Narcolepsy is unique in that those who suffer from it typically fall almost instantaneously into REM sleep.
It is thought that narcolepsy is caused by a malfunctioning of the hypothalamus in the brain.